One of the following drug abuse produces a psychosis closely resembling paranoid schizophrenia-
1. Barbiturates
2. Amphetamines
3. Opioids
4. Benzodiazepines

Correct answer: 2. Amphetamines

Explanation: Drugs causing schizophrenia-like symptoms:- Amphetamine (most common), LSD, Phencyclidine, Ketamine, Mescaline, Cocaine, Cannabis (marijuana).